After taking certain medications a patient noticed yellowing of eyes. Which of the following most often causes cholestatic jaundice?
1. INH
2. Erythromycin estolate
3. Pyrazinamide
4. Ethionamide

Correct answer: 2. Erythromycin estolate

Explanation: Cholestatic jaundice caused by erythromycin estolate (and rarely by the stearate) appears to be specifically related to the propionyl ester linkage of the 29 position. Thus, a history of cholestatic jaundice during therapy with oral erythromycin estolate is not an absolute contraindication to intravenous therapy with erythromycin gluceptate or lactobionate. Ref: Aoki F.Y. (2005). Chapter 45. Principles of Antimicrobial Therapy and the Clinical Pharmacology of Antimicrobial Drugs. In Hall J.B., Schmidt G.A., Wood L.H.(Eds), Principles of Critical Care, 3e.